Drug used in the treatment of steroid resistant ulcerative colitiis
1. Azathioprine
2. Cyclosporine
3. 5ASA
4. Racecadotril

Correct answer: 2. Cyclosporine